Denominator in general fertility rate is ?
1. All women between 15-45 year age
2. All married women between 15-45 year age
3. Total number of live births
4. Total number of all births

Correct answer: 1. All women between 15-45 year age

Explanation: Ans. is 'a' i.e., All women between 15-45 yr age